Side-effects of the cis-platinum include all of the following except -
1. Nausea and vomitting
2. Nephrotoxicity
3. Blindness
4. Ototox icity

Correct answer: 3. Blindness

Explanation: Ans. is 'c' i.e., Blindness Side effects of Cisplatin o Vomiting o Ototoxicity o Hyperuricemia o Nephrotoxicity o Neuropathy